Untoff phenomenon is
1. Worsening of symptom with cold
2. Relief of symptom with cold
3. Worsening of symptom with heat and exertion
4. Palsy of symptom with heat and excretion

Correct answer: 3. Worsening of symptom with heat and exertion

Explanation: Harrison's principles of internal medicine 17th edition. *U/rtl visual blurring may occur following a hot shower or with physical exercise. Uhthoff's phenomenon (also known as Uhthoff's syndrome, Uhthoff's sign, and Uhthoff's symptom) is the worsening of neurologic symptoms in multiple sclerosis (MS) and other neurological, demyelinating conditions when the body gets overheated from hot weather, exercise, fever, or saunas and hot tubs. Ref Harrison20th edition pg 2345